Translocation (8-14) is characteristic of ?
1. Burkitt's lymphoma
2. Ataxia telengieactasia
3. ALL
4. CML

Correct answer: 1. Burkitt's lymphoma

Explanation: Ans. is 'a' i.e., Burkitt's lymphoma